A 25-yrs-old female presented with lower limb weakness, spasticity, urinary hesitancy, mid-dorsal intradural enhancing mass seen in MRI. What is the diagnosis?
1. Intradural lipoma
2. Meningioma
3. Dermoid cyst
4. Neuroepithelial cyst

Correct answer: 2. Meningioma

Explanation: Ans. Meningioma